Which of the following metabolic pathways does not generate ATP ?
1. Glycolysis
2. TCA Cycle
3. Fatty Acid Oxidation
4. HMP Pathway

Correct answer: 4. HMP Pathway

Explanation: The pentose phosphate pathway is an alternative route for the metabolism of glucose. It does not lead to formation of ATP but  has  two  major  functions: 

 The  formation  of  NADPH for synthesis of fatty acids and steroids ,  and  maintaining  reduced  glutathione  for  antioxidant activity, and
 The synthesis of ribose for nucleotide and nucleic acid formation.

Harper 30TH EDITION PG- 197